Skin changes in newborn that disappear spontaneously -
1. Harlequins skin change
2. Mangolian spots
3. Erythema toxicum
4. All

Correct answer: 4. All

Explanation: Ans. is 'a' i.e., Harlequins skin change; 'b' i.e., Mongolian spots; 'c' i.e., Erythema toxicum Skin changes in newborn that disapear spontaneously 1) Milia 4) Mongolian spots 6) Peeling of skin 2) Erythema toxicum 5) Stroke bite 7) Harlequin color change 3) Pustular melanosis